All the following is a method of sewage disposal except
1. River outfall
2. Land treatment
3. Oxidation ponds
4. Bangalore method

Correct answer: 4. Bangalore method

Explanation: OTHER METHODS OF Sewage DISPOSAL. (a) Sea outfall (b) River outfall (c) Land treatment (d) Oxidation ponds (e) Oxidation ditches. Ref: Park 25th edition Pgno : 800